The presence of Kayser-Fleischer ring is pathognomonic of:
1. Keratoconus
2. Lowe's syndrome
3. Wilson's disease
4. Albinism

Correct answer: 3. Wilson's disease

Explanation: Ans. Wilson's disease